Lord's plication is done for
1. Inguinal hernia
2. Testicular cancer
3. Hydrocele
4. Testicular varices

Correct answer: 3. Hydrocele

Explanation: Lord's plication is done for hydrocele. It is suitable when the sac is small, thin walled and contains clear fluid. Here tunica is bunched into a 'ruff' at its attachment to the testis by using a series of multiple interrupted chromic catgut sutures to plicate the redundant tunica vaginalis, so as to make the sac to form fibrous tissue. Reference : page1072 SRB's manual of surgery 5th edition